What is glomerular filtration rate?
1. 100 ml/min
2. 125 ml/min
3. 150 ml/min
4. 175 ml/min

Correct answer: 2. 125 ml/min

Explanation: (B) 125 ml/min # GFR in a healthy person of average size is approximately 125 mL/min. Its magnitude correlates fairly well with surface area, but values in women are 10% lower than those in men even after correction for surface area.> A rate of 125 mL/min is 7.5 L/h, or 180 L/d, whereas the normal urine volume is about 1 L/d. Thus, 99% or more of the filtrate is normally reabsorbed.> At the rate of 125 mL/min, in 1 day the kidneys filter an amount of fluid equal to 4 times the total body water, 15 times the ECF volume, and 60 times the plasma volume.